A patient involved in a road traffic accident presents with quadriparesis, sphincter disturbance, sensory level up to the upper border of sternum and a respiratory rate of 35/minute. The likely level of lesion is:
1. C1-C2
2. C4-C5
3. T1-T2
4. T3-T4

Correct answer: 2. C4-C5

Explanation: B i.e. C4-C5